Treatment in days for meningitis for strept pneumonia in children ?
1. 5 days
2. 7 days
3. 10 days
4. 21 days

Correct answer: 3. 10 days

Explanation: Ans. is 'c' i.e., 10 days Child with bacterial meningitis shows improvement in 10 days and rarely necessary beyond 14 days. Staph meningitis and gram negative infection require treatment for 21-28 days. N. meningitis - Penicillin for 5-7 days. H. Influenze - for 7-10 days